Diaphragmatic hernia can occur through all the following, EXCEPT:
1. Esophageal opening
2. Costovertebral triangle
3. Inferior vena cava opening
4. Costal and sternal attachment of diaphragm

Correct answer: 3. Inferior vena cava opening

Explanation: Diaphragm is embryologically formed by the fusion of septum transversum, dorsal mesentery and pleuroperitoneal membranes from the body wall. Congenital diaphragmatic hernia occur due to incomplete fusion of these structures. It mostly occur through: pleuroperitoneal canal, opening between the xiphoid process and costal origin of diaphragm and esophageal hiatus.Ref: Richard S Snell's Clinical Anatomy for Medical Students, 6th Edition, Pages 56, 71